Drum stick is characteristic of:
1. Corynebacterium diphtheriae
2. Clostridium tetani
3. Neisseria meningitides
4. Strep Pneumoniae

Correct answer: 2. Clostridium tetani

Explanation: Ans. (b) Clostridium tetaniRef: Microbiology by Ananthanarayan and Paniker 8th ed. 1249-54* There are species of Clostridium that bears terminal spores which appears as drumstick shaped under microscope.* Clostridium tetani is a gram positive obligate anaerobe which is the causative agent of tetanus, bears spores which are spherical, terminal and twice the diameter of vegetative cells. This gives it a drumstick appearance upon viewing under microscope.BacteriaAppearance* Clostridium tetaniDrumstick appearance* Corynebacterium diphtheriaChinese letter pattern* Neisseria meningitidesD- shaped* N. GonorrheaKidney shaped appearance* Strep PneumoniaeFlame shaped appearance